Which one of the following medical disorders leads to delayed foetal lung maturity
1. Heart disease
2. Diabetes
3. Thalassemia minor
4. Epilepsy

Correct answer: 2. Diabetes

Explanation: Maternal diabetes mellitus cause delayed fetal lung maturation. Maternal hyperglycemia causes fetal hyperglycemia which in turn causes fetal hyperinsulinemia. Fetal hyperinsulinemia impairs surfactant production in the lung which in turn causes delay in lung maturity and predisposes to respiratory distress syndrome. Reference : 243 Textbook of Obstetrics Sheila Balakrishnan 2nd edition